True regarding barret's oesophagus is :
1. Benign course
2. Premalignant condition
3. Sq. metaplasia of lower oesophagus
4. Medical T/t is not useful

Correct answer: 2. Premalignant condition

Explanation: Ans is 'b' ie Premalignant condition As already explained Barrett's esophagus is an Intestinal metaplasia (not squamous metaplasia) which follows the metaplasia - dysplasia - cancer course (a Premalignant condition for adenocarcinoma of esophagus)About the medical t/t Though medical treatment does not revert back the metaplastic changes, it's given to treat the underlying reflux disorder and prevent further damage. CSDT, Bailey, Maingot's, all advice medical treatment for reflux esophagitis in cases of Barrett's esophagus.